Afferent component of corneal reflex is mediated by-
1. Vagus nerve
2. Facial nerve
3. Trigeminal nerve
4. Glossopharyngeal nerve

Correct answer: 3. Trigeminal nerve

Explanation: Ans. is 'c' i.e., Trigeminal nerve o Afferent of corneal reflex - Trigeminal nerve (ophthalmic branch)o Efferent of comeal reflex - Facial nerve Touching the cornea|Ophthalmic branch of trigeminal nerve (afferent)|Superior sensory nucleus of trigeminal|Medial longitudinal bundle|Motor nucleus of VII cranial nerve|Facial nerve (efferent)|Orbicularis oculi|Blinking of eyeThis question is also direct repeat from AI-06